Vascular sign of Narath is positive in which of the follwoing ?
1. Posterior dislocation
2. Central dislocation
3. Anterior dislocation
4. Lateral dislocation

Correct answer: 1. Posterior dislocation

Explanation: Vascular sign of Narath: Patient in supine Palpate femoral artery in femoral canal Positive in hip dislocation - not palpable In fracture neck of femur - feeble pulsation Ref: maheswari 9th ed orthopedics